The magnification obtained with a direct ophthalmoscope is
1. 5 times
2. 10 times
3. 15 times
4. 20 times

Correct answer: 3. 15 times

Explanation: The image formed is erect, virtual and about 15 times magnified in an emmetrope. Reference : AK KHURANA COMPREHENSIVE OPHTHALMOLOGY, Edition4 ,Page-565